Cherry red spot is seen in:
1. CRVO
2. CRAO
3. Eale's disease
4. Retinitis pigmentosa

Correct answer: 2. CRAO

Explanation: Ans. B: CRAO The cherry red spot is seen in central retinal artery occlusion, appearing several hours after the blockage of the retinal artery occurs. The cherry red spot is seen because the macula receives its blood supply from the choroid artery while the surrounding retina is pale due to retinal artery infarction. It is also seen in several other conditions, classically Tay-Sachs Disease, but also in Niemarm-Pick Disease, Sandhoff disease, and mucolipidosis.